CA prostate metastasizes to the vertebrae by
1. Direct spread
2. Lymphatic spread
3. Batson’s plexus
4. All of the above

Correct answer: 3. Batson’s plexus

Explanation: Through Batson’s periprostatic plexus prostate Ca spreads to verterbra.